The following bacteria are most often associated with acute neonatal meningitis except:
1. Escherichia coli
2. Streptococcus agalactiae
3. Neisseria meningitidis
4. Listeria monocytogenes

Correct answer: 3. Neisseria meningitidis

Explanation: Neisseria meningitidis is not associated with acute neonatal meningitis. Option 1, 2, 3, 4 Causes of Meningitis are: a) Neonatal < 1 Month: - Bacterial causes: Esch. coli > Group B Streptococci >Other Gram Negative bacilli> Listeria monocytogenes. - Viral and Protozoal Infection: TORCH, Varicella Zoster and HIV. - Spirochetal and fungal infections. b) 1 -11 Month: N. meningitidis > Strep pneumoniae > H. influenzae. c) 1 -20 Years: N. meningitidis > Strep pneumoniae > H. influenzae. d) More than 20 Years: Strep pneumoniae.